Drug containing two sulfhydryl groups in a molecule:
1. BAL
2. EDTA
3. Penicillamine
4. None

Correct answer: 1. BAL

Explanation: Ans. BAL